Bleomycin toxicity primarily involves :
1. Liver
2. Bone marrow
3. Skin
4. Lungs

Correct answer: 4. Lungs